True about zone of Weil is
1. It's cell rich zone
2. Absent in primary and tertiary dentin
3. Contains myelinated nerve fibres
4. Does not contain capillaries

Correct answer: 2. Absent in primary and tertiary dentin